Neurotransmitter released in response to raised blood pressure:
1. Acetylcholine
2. Adrenaline
3. Dopamine
4. Nor-adrenaline

Correct answer: 1. Acetylcholine

Explanation: Ans. A. AcetylcholineWhenever blood pressure rises, there is reflex stimulation of baroreceptors. These release Ach and depress the heart.